Surest proof of antemortem burn is
1. Heat rupture
2. Presence of soots beyond the tracheal bifurcation
3. Blackening of bones
4. Clean laryngeal airway

Correct answer: 2. Presence of soots beyond the tracheal bifurcation

Explanation: In case of burns, if death has occurred from suffocation,aspirated blackish coal particles are seen in the nose,mouth,larynx,trachea,bronchi,oesophagus and stomach, and blood is cherry red. Presence of carbon particles especially in the terminal bronchioles and an elevated CO saturation together are absolute proof that the victim was alive when the fire occurred. In the absence of CO in blood and soot in the airways,death may possibly result due to poisoning with carbon dioxide or deficiency of oxygen. Sometimes inhalation of smoke produces vomiting which may be inhaled and found in the smaller bronchi. Ref: K.S.Narayan Reddy's Synopsis of Forensic Medicine and Toxicology, 29th edition, Chapter 11, page-163.